All of the following are risk factors for Hepatocellular carcinoma except:
1. Hepatitis C infection
2. Alcoholism
3. Alfatoxins
4. Animal fat in diet

Correct answer: 4. Animal fat in diet

Explanation: Answer is D (Animal fat in diet) Animal fat in diet is a known risk factor for development of colorectal cancer. It has not been mentioned as a risk for hepatocelhdar carcinoma. Risk factors for hepatocellular carcinoma: Major etiological factors Viral infection Hepatitis C infection Hepatitis B infection Chronic alcoholism Other etiological factors Alpha antitrypsin deficiency Hemochromatosis Tyrosinemia Primary biliary cirrhosis Food contaminants: Al fatoxins Exposure to thoriumdioxide or vinyl chloride Long term androgenic steroid administration Exposure to estrogen